Best protection from STD and Syphilis is by:
1. IUCD
2. Condom
3. OCP
4. Tubectomy

Correct answer: 2. Condom

Explanation: Ans. B: Condom Advantages of Condoms Available on shelves without any medical prescription. Most harmless method of contraception. Best protection against sexually transmitted diseases and AIDS (HIV infection). Most suitable for couples having infrequent coitus, during lactation (breast-feeding), during holidays, for teenagers particularly to prevent unwanted pregnancies. Doesn't require any special training.